Which is involved in transport of long chain acyl-CoA in mitochondria?
1. Ornithine
2. Xanthine
3. Carnitine
4. Albumin

Correct answer: 3. Carnitine

Explanation: In humans carnitine is synthesized from protein-derived trimethyllysine in liver, brain and kidney.Muscles take up carnitine from the blood in an exchange-diffusion process with endogenous deoxycarnitine, the immediate precursor of carnitine.Besides catalysing the transport of long-chain acyl groups in mitochondria, carnitine is necessary for the export of intramitochondrially produced short-chain acyl residues and for the trapping and the elimination of unphysiological compounds (benzoic, pivalic, valproic acids etc.).